A 57-year-old woman comes into her physician's office complaining of fever, nausea, vomiting, and the worst headache of her life. Tests and physical examination suggest hydrocephalus (widening ventricles) resulting from a decrease in the absorption of cerebrospinal fluid (CSF). A decrease of flow in the CSF through which of the following structures would be responsible for these findings?,
1. Choroid plexus
2. Vertebral venous plexus
3. Arachnoid villi
4. Internal jugular vein

Correct answer: 3. Arachnoid villi

Explanation: Cerebrospinal fluid (CSF) is absorbed into the venous system primarily through the arachnoid villi projecting into the cranial dural venous sinuses, particularly the superior sagittal sinus. CSF is produced by the choroid plexuses of the ventricles of the brain and is circulated in the subarachnoid space, in which subarachnoid trabeculae are also found. The vertebral venous plexus and internal jugular vein are not involved in the absorption of CSF.